Cryoglobulins are present in blood in which of the following clinical scenarios
1. Macroglobulinaemia
2. SLE
3. Myeloma
4. All the above

Correct answer: 4. All the above

Explanation: Cryoglobulins if present in blood, form precipitates in patients serum when it is cooled down. They are a type of abnormal immunoglobulin disorder Ref: Textbook of Microbiology Baveja 5th ed Pg 102